Antiemetic used in vomiting induced by anticancer drugs is:
1. Ondansetron
2. Cisapride
3. Metoclopramide
4. Tritluopromazine

Correct answer: 1. Ondansetron

Explanation: Ondansetron